Which of the following organism cause multiple alveolar- like mass in liver?
1. Echinococcus multilocularis
2. E. granulosus
3. Amoebic liver abscess
4. Cysticercus cellulose

Correct answer: 1. Echinococcus multilocularis

Explanation: Ans. (A) Echinococcus multilocularis(Ref: Paniker's Text book of Medical Parasitology 8th ED; page No-131, 136)Echinococcus multilocularis causes multiple alveolar like lesions in the liver.Unilocular hydatid cyst disease: Echinococcus granulosusAlveolar hydatid cyst disease: Echinococcus multilocularis. It presents with multiple small cysts in the liver.NoteCysticercosis: Taenia soliumSparganosis: Diphyllobothrium latum